CO2 primarily transported in the arterial blood as-
1. Dissolved CO2
2. Carbonic Acid
3. Carbamino-hemoglobin
4. Bicarbonate

Correct answer: 4. Bicarbonate

Explanation: Ans. (d) Bicarbonate(Ref: Ganong, 25th ed/p.640)Co2 is transported as,#As bicarbonate form (70% - the major form of Co2 transport)#As carbamino compound form bound with hemoglobin (23%)#In dissolved form (7%)